Regarding the sling procedure for Urodynamic Stress Incontinence (USI):
1. Tension-free vaginal tape (TVT) elevates the bladder neck to a retropubic position
2. TVT is an autologous sling material
3. Intrinsic sphincter deficiency is an indication
4. Success rate of TVT is low than other retropubic procedures

Correct answer: 3. Intrinsic sphincter deficiency is an indication

Explanation: Ans. is c, i.e. Intrinsic sphincter deficiency is an indicationLets see each option:TVT acts by increasing urethral coaptation, kinking the urethra with the rise in abdominal pressure and not by elevating bladder neck hence option a is incorrect.TVT is made from polypropylene (marlex) or polytetrafluoroethylene (Goretex) and not autologous sling material. Autologus sling material refers to natural sling materials made from rectus fascia or porcine dermis. These are less Antigenic; hence option b is incorrect.TVT is done in case of intrinsic sphincter deficiency, i.e. option c is correct.Success rate of sling procedure are over 80%, i.e option d is incorrect